Not a feature of paradoxical sleep is:
1. Decreased muscle tone
2. Rapid eye movements
3. Brain shows increased metabolism
4. EEG shows decreased activity

Correct answer: 4. EEG shows decreased activity

Explanation: In paradoxical sleep or REM sleep, the EEG shows increased activity, similar to awake state. REM sleep has- Rapid eye movements Generalized loss of muscle tone Increased rate of metabolism in brain Increased HR,BP and PR associated with spontaneous penile erection Dreams can be recalled in this phase Note Idiopathic REM sleep behavior disorder is commonly associated with later appearance of neurodegenerative disorders such as synucleinopathies (Parkinson's disease or so-called Parkinson-plus syndromes, including multiple system atrophy or major or mild neurocognitive disorder with Lewy bodies).